True about transient tachypnoea of new born is ?
1. Air bronchogram seen
2. Common in preterm infants
3. Interlobar fissure effusion
4. Respiratory distress resolves in 6-10 days

Correct answer: 3. Interlobar fissure effusion

Explanation: Ans. is 'c' i.e., Interlobar fissure effusion